Which of the following drugs inhibits de navo synthesis of purines
1. Cyclosporine
2. Tacrolimus
3. Mycophenolate
4. Infliximab

Correct answer: 3. Mycophenolate

Explanation: Ref-KDT 6/e p841 By inhibiting the enzyme IMP dehydrogen,mycophe mycoph inhibits the de novo synthesis of purines